Protein catabolism is increased in
1. Starvation
2. Burns
3. Surgery
4. All of the above

Correct answer: 4. All of the above

Explanation: During starvation80 to 90 percent of energy requirement will be derived from fats and the remainder 10 to 20 percent from proteins. Utilisation of fats will depend on the "fat storage" of the body. Since the adipose tissue represents the largest amount of stored food, the second stage will last for longest period, usually over two weeks. In starvation, tissue proteins are treated as 'food proteins". They are hydrolysed to amino acids, but to a larger extent and at an increased scale than that occurs normally and constitutes the "general amino acid pool". For catabolism of tissue proteins, tissues are not uniformly used. Brain and heart are spared and only lose 3 percent of the bulk. Muscles lose 30 percent, liver 55 percent, and spleen 70 percent. The breakdown of tissue proteins in starvation is controlled possibly through the action of adrenal cortex (Glucocorticoids).during an emergency condition such as stress, surgery, dehydration (burns)Ref: DM Vasudevan - Textbook of Biochemistry, 8th edition, page no: 536 & 538